The late features of kernicterus include all except -
1. Hypotonia
2. Sensorineural hearing loss
3. Choreoathetosis
4. Upward gaze palsy

Correct answer: 1. Hypotonia

Explanation: Ans. is 'a' i.e., Hypotonia Hypotonia is an early feature (in Phase I) Clinical features o Clinically, kernicterus is described in 3 phases, which may progress over 24 hours to 7 days :? 1. Phase I --> Poor suck, lethargy, hypotonia, depressed sensorium. 2. Phase II --> Fever, hypertonia progressing to opisthotonus. 3. Phase III --> High pitched cry, convulsions, death. 3 Long term survivors demonstrate choreoathetoid cerebral palsy, upward gaze palsy, sensorineural hearing loss and intellectual disability.